Cause of congestive splenomegaly is -
1. Visceral Leishmaniasis
2. Budd Chiari Syndrome
3. Gaucher's Disease
4. Hodgkin's Lymphoma

Correct answer: 2. Budd Chiari Syndrome

Explanation: Ans. is 'b' i.e., Budd Chiari Syndrome Causes of congestive splenomegalyo Budd Chiari Syndromeo Hepatic vein obstruction\o Portal vein obstruction